Mechanism of action of terbinafine is ?
1. Binds to ergosterol
2. Prevents formation of purine
3. Inhition of micro-tubule formation
4. Inhibition of ergosterol synthesis

Correct answer: 4. Inhibition of ergosterol synthesis